Measles shows age distribution. It is found most commonly in which age group?
1. 9 months to 3 years
2. 6 months to 2 years
3. 9 months to 2 years
4. 6 months to 3 years

Correct answer: 4. 6 months to 3 years

Explanation: Important diseases & their age distribution: Measles - 6 months to 3 years Mumps - 5-9yrs Chicken pox - 5-9yrs Rheumatic fever - 5 to 15 years Cancers, Cataract - >50 years Rota virus - younger infants Diabetes , HTN, CHD - > 40yrs